Which of the following statements true about high attitude pulmonary edema.?
1. Not exacerbated by exercise
2. Associated with pulmonary vasoconstriction
3. Occurs only in unacclamatized individuals
4. Associated with low cardiac output

Correct answer: 2. Associated with pulmonary vasoconstriction

Explanation: Ref Harrison 19 th ed pg 476e-6 AlthrouA the mechanism of high attitude pulmonary edema remains obscure most studies suggest pulmonary vasoconstriction as the prime individuals.